The term "trituration" means
1. Lysing amalgam alloy
2. Mixing of amalgam alloy and mercury
3. Removal of excess of mercury
4. None of the above

Correct answer: 2. Mixing of amalgam alloy and mercury